The tooth most likely to cause lateral balancing interferences in an anterior guidance oclusal scheme is
1. First molar
2. Canine
3. Second molar
4. Premolars

Correct answer: 3. Second molar